Urticarial lesions are best described as
1. nonpruritic
2. Linear
3. evanescent
4. macular

Correct answer: 3. evanescent